Antibodies are most responsive to -
1. Recipients tissue
2. Donor tissue
3. Isografts
4. Autograft

Correct answer: 2. Donor tissue

Explanation: Ans. is 'b' i.e., Donor tissue During graft rejection antibodies are formed against donor tissue.